The first teeth to appear in an infant is:
1. Upper incissors
2. First molar
3. Canine
4. Lower central incisor

Correct answer: 4. Lower central incisor

Explanation: Eruption of Deciduous or Milk Teeth Lower central incisors: 6-9 months. Upper incisors: 8-10 months. Lower lateral incisors: 12-20 months. First molar: 12-20 months. Canines: 16-20 months. Second molars: 20-39 months.